Which of the following drug is commonly used for post-anesthetic shivering ?
1. Meperidine
2. Methylmorphine
3. Methadone
4. Morphine

Correct answer: 1. Meperidine

Explanation: 1. Meperidine (also called pethidine)is used for postoperative shivering. 2. Meperidine combination drugs are also used for other drugs infusion related rigor and chills like Amphotericin B, Aldesleukin, Transtuzumab.